Which of the following local anaesthetics belongs to the ester group?
1. Procaine
2. Bupivacaine
3. Lignocaine
4. Mepivacaine

Correct answer: 1. Procaine

Explanation: Procaine belongs to ester group. Since Ester links are more prone for hydrolysis than amide links generally esters have a shorter duration of action. Other three are amide group. From padmaja 4th edition Page no 199